_____________ is coded for by Initiator codon
1. Cystine
2. Arginine
3. Methionine
4. Lysine

Correct answer: 3. Methionine

Explanation: AUG acts as the initiator codon. Also acts as the codon for methionine. In a few proteins, GUG may be the initiator codon